All are true about DDT except
1. Kills mosquito immediately
2. Insecticidal properties discovered by Paul H. Muller
3. Residual action lasts for 18 months
4. Contact/ nerve poison

Correct answer: 1. Kills mosquito immediately

Explanation: DDT takes several hours to kill mosquito Dichloro Diphenyl trichloroethan (DDT) First synthesis by - ZIEDLER Properties by - Paul muller (Nobel Prize) No repellant action Takes several hours to kill Residual action lasts for 18 months Most active form of DDT - PARA - PARA ISOMER Mode of action - At as a contact/Nerve poison - Inhibits Acetylcholinesterase